Dent's disease is characterized by all except?
1. Chloride channel defect
2. Males are affected
3. Nephrolithiasis
4. Defect in limb of Loop of Henle

Correct answer: 4. Defect in limb of Loop of Henle

Explanation: Dent disease X-linked recessive disorder of proximal renal tubular dysfunction characterized by low molecular weight proteinuria, nephrolithiasis, and chronic kidney disease Males are affected mutation in CLCN5